All are true statement about Meckel's diverticulum except:
1. Occurs in 2% of the population
2. Common on antimesenteric border
3. Diarrhea very common
4. Peroration occurs

Correct answer: 3. Diarrhea very common

Explanation: Ans is 'c' i.e. Diarrhea very common